Characteristics of benign tumor of lung in X-ray is:
1. Size > 5 cm diameter
2. Cavitation
3. Peripheral location
4. Concentric dense calcification

Correct answer: 4. Concentric dense calcification

Explanation: Ans. Concentric dense calcification